The first costochoadral joint is a :
1. Fibrous joint
2. Synovial joint
3. Syndesmosis
4. Syncendrosis

Correct answer: 4. Syncendrosis

Explanation: D. i.e. Synchondrosis/ Syncendrosis